All of the following are direct acting agents for HCV infections except?
1. Ledipasvir
2. Beclabuvir
3. Entecavir
4. Paritaprevir

Correct answer: 3. Entecavir

Explanation: Entecavir is used for treatement of hepatitis B HEPATITIS C: Previously treated with Interferons and Ribavarin this treatment was very toxic now we use all oral agents for the treatment DIRECT ACTING AGENTS ARE: PROTEASE(NS-3A/4) INHIBITORS NS-5A INHIBITORS NS-5B INHIBITORS TELAPREVIR SIMPREVIR BOCEPREVIR GRAZOPREVIR PARITAPREVIR ELBASVIR LEDIPASVIR DACLATASVIR OMBITASVIR PIMBRENTASVIR SOFOSBUVIR DASABUVIR BECLABUVIR